In Down's syndrome, the serum markers..........
1. Increased MSAFP and UE3, Decreased PAPP-A and hCG, NT < 3mm
2. Decreased MSAFP, PAPP-A and UE3 and Increased hCG, NT > 3mm
3. Decreased MSAFP, PAPP-A , UE3 and hCG, NT > 3mm
4. Increased MSAFP, UE3, PAPP-A and hCG, NT < 3mm

Correct answer: 2. Decreased MSAFP, PAPP-A and UE3 and Increased hCG, NT > 3mm

Explanation: Triple test (combined test): MSAFP, Unconjugated estriol (E3) and hCG. Quadruple test: MSAFP, UE3, hCG, Inhibit-A Integrated test: NT, PAPP-A + hCG reference: D C Dutta's Textbook of obstetrics 7th edition page no 494